Anchovy sauce pus is a feature of
1. Amoebic liver abscess
2. Lung abscess
3. Splenic abscess
4. Pancreatic abscess

Correct answer: 1. Amoebic liver abscess

Explanation: Amoebic liver abscess Entamoeba histolytica is endemic in many parts of the world. It exists in vegetative form outside the body and is spread by the faecal-oral route. The most common presentation is with dysentery, but it may also present with an amoebic abscess, the common sites being paracaecal and in the liver. The amoebic cyst is ingested and develops into the trophozoite form in the colon, and then passes through the bowel wall and to the liver the portal blood. Diagnosis is by isolation of the parasite from the liver lesion or the stool and confirming its nature by microscopy. Often patients with clinical signs of an amoebic abscess will be treated empirically with metronidazole (400- 800mg t.d.s. for 7-10 days) and investigated further only if they do not respond. Resolution of the abscess can be monitired using ultrasound. Ref: Bailey and love 27th edition Pg no : 1169